Common to both acute and chronic malnutrition is ___________
1. Weight for age
2. Weight for height
3. Height for age
4. BMI

Correct answer: 1. Weight for age

Explanation: Underweight or low weight for age is a combined indicator to reflect both acute and chronic malnutrition.It is low in both acute and chronic malnutrition. Height for age indicates chronic malnutrition and weight for height indicates acute malnutrition. Ref: Page 95, Ghai Essential Pediatrics; 8th edition.